A child's CSF was examined, I contains slightly raised or normal PMN cells, raised lymphocytes, absence of mycotic growth, value of protein is normal or above normal, glucose level is normal. The most probable diagnosis is:
1. Pyogenic bacterial meningitis
2. Viral meningitis
3. Fungal meningitis
4. Tuberculous meningitis

Correct answer: 2. Viral meningitis